A 60-year old man is diagnosed to be suffering from Legionnaires' disease after the returns home from attending a convention. He could have acquired it -
1. From a person suffering from the infection while travelling in the aeroplane
2. From a chronic carrier in the convention center
3. From inhalation of the aerosol in the air conditioned room at convention center
4. By sharing an infected towel with a fellow delegate at the convention

Correct answer: 3. From inhalation of the aerosol in the air conditioned room at convention center